Dispersion of crystalline phase to strengthen ceramics results in
1. dispersed porcelain
2. glazed porcelain
3. aluminium porcelain
4. all of the above

Correct answer: 3. aluminium porcelain